Dopamine agonist among the following is:
1. Cabergoline
2. Seligiline
3. Entacapone
4. Amantadine

Correct answer: 1. Cabergoline

Explanation: A i.e. CabergolineRef: GG, 12th edition, page 358Explanation:Dopamine agonistsErgot-derived DAsNon-ergot DAs* Bromocriptine* Lisuride* Pergolide* Cabergoline* Ropinirole and pramipexole (anti-oxidants)* Rotigotine* ApomorphineOther Options:Seligiline is a MAO-B inhibitor used in treatment of parkinson's disease.Entacapone is a peripheral COMT inhibitor, used in treatment of parkinson's disease. Doesn't cross BBB.Amantadine:Antiviral drug.Used for the prophylaxis and treatment of influenza A.Found to have anti-parkinsonian activity.